The following plant poisons do not have specific antidote, except
1. Calotropis
2. Ricinus communis
3. Dathura
4. Croton

Correct answer: 3. Dathura

Explanation: The antidote for Dhatura poisoning is Physostigmine. TREATMENT OF DHATURA : Decontamination Physostigmine - Antidote Supportive - Anticonvulsants, control body temperature.